Most important cause of interstitial nepliritis is -
1. Drugs
2. Infection
3. Malignancy
4. Dehydration

Correct answer: 1. Drugs

Explanation: Acute Interstitial nephritis is far more often encountered as an allergic reaction to drug. Drugs causing AIN - Antibiotics (sulfonamides, vancomycin, erythromycin, rifampin, ethambutol, acyclovir) NSAIDS Diuretics (rarely thiazides, loop diuretics, triamterene) Anticonvulsants(phenytoin,valproate,carbamazapine,phenobarbitol PPI'S Ref:Harrison 20 th edition pg no 2157